Positive Nikolsky's sign is a feature of -
1. Pemphigoid
2. Dermatitis herpetiformis
3. Pemphigus
4. Rubella

Correct answer: 3. Pemphigus

Explanation: Ans is 'c' i.e. pemphigus Positive Nikolskv's sign is seen ino Pemphiguso Epidermolysis bullosao Staphylococcal scalded skin syndromeo Bullous impetigoo Toxic epidermal necrolysiso Bullous lichen planuso Steven jonson syndromeo Mycosis fungoideso HSV&VZV infectiono Malignancy (leukemia)